Primary Dentition begins to show teeth eruption by __________
1. 6 weeks
2. 12 weeks
3. 6 months
4. 12 months

Correct answer: 3. 6 months

Explanation: Primary dentition to appear first is the lower central incisors at 6-10 months of age. Ref- Ghai , 9th edition , Table 2.2